Ainhum is seen in ?
1. Base of great toe
2. Base of fingers tips
3. Base of toe
4. Ankle

Correct answer: 3. Base of toe

Explanation: Ainhum : is a condition usually affecting Negro males (but some females) who have run barefoot in child hood. Clinical Features : A fissure appears at interphalangeal joint of toe -usually the fifth. This fissure becomes a fibrous band, encircles the digit and causes necrosis. Ref : Bailey and love surgery text book 27th Ed.